All of the following are true about loop diuretics except:
1. They are called as "high ceiling" diuretics
2. They act on Na+.K+.2Cl- symporter
3. They can cause hyperuricemia
4. Loop diuretics lead to hypercalcemia and hypomagnesimia

Correct answer: 4. Loop diuretics lead to hypercalcemia and hypomagnesimia

Explanation: Loop diuretics lead to hypocalcemia and hypomagnesimia.